Which maintains oncotic pressure -
1. Globulin
2. Albumin
3. Fibrin
4. Na+

Correct answer: 2. Albumin

Explanation: Ans. is 'b' i.e., Albumin o Oncotic pressure, also called colloid osmotic pressure, is a form of osmotic pressure exerted by proteins in blood plasma that usually tends to pull the water into the circulatory system. The major contributing protein for plasma oncotic pressure is albumin.